Infective form in transfusion related malaria is
1. Trophozoites
2. Sporozoites
3. Hypnozoites
4. Gametocytes

Correct answer: 1. Trophozoites

Explanation: Infective form for transfusion related malaria is Trophozoites > merozoites.